Which enzyme involved in translation is often referred to as 'Fidelity enzyme'
1. DNA polymeraes
2. RNA polymeraes
3. Amino acyl t-RNA synthetase
4. Amino acyl-reductase

Correct answer: 3. Amino acyl t-RNA synthetase